The lung tumour responding best to radiotherapy-
1. Small cell anaplastic
2. Squamous cell CA
3. Adeno CA
4. All respond equally well

Correct answer: 1. Small cell anaplastic